All of the following will produce conductive hearing loss except
1. Otosclerosis
2. Serous otitis media
3. Endolymphatic Hydrops
4. Suppurative otitis media

Correct answer: 3. Endolymphatic Hydrops

Explanation: Otosclerosis, serous otitis media, suppurative otitis media come under acquired causes of conductive hearing loss Endolymphatic hydrops which is Meniere's disease is associated with sensorineural deafness. Ref: Dhingra 7e pg 32,34.